Pain sensation from ethmoid sinus is transmitted through
1. Infrachlear nerve
2. Nasocilliary nerve
3. Lacrimal nerve
4. Frontal nerve

Correct answer: 2. Nasocilliary nerve

Explanation: It is the principal nerve supplying the sensory supply to the Ethmoidal sinuses through its anterior and posterior Ethmoidal branches.